Urine findings in SLE -a)  Proteinuriab)  RBC cellsc)  LE cellsd)  None
1. ac
2. a
3. ad
4. ab

Correct answer: 4. ab